In cholesterol transport which is not needed ?
1. Liver
2. Kidney
3. Intestine
4. Fat

Correct answer: 2. Kidney

Explanation: Ans. is 'b' i.e., Dietary cholesterol is transported from intestine to liver by chylomicron-chylomicron remnant system.From liver cholesterol is in corporated into VLDL and is distributed to extrahepatic tissues (like adipose tissue) through LDL (i.e. after conversion of VLDL into LDL).HDL transports cholesterol from extra-hepatic tissues (blood vessels, adipose tissue) to liver.See explanation-11 of session-2 and explanation-12 of session-1.